Investigation of choice in bronchiectasis is
1. Bronchoscopy
2. MRI thorax
3. HRCT lung
4. Chest X-ray

Correct answer: 3. HRCT lung

Explanation: HRCT chest is more specific for bronchiectasis and is the imaging modality of choice for confirming the diagnosis.CT findings include airway dilation(detected as parallel "tram tracks" or as the "signet-ring sign"-a cross sectional area of the airway with a diameter at least 1.5 times that of the adjacent vessel),lack of bronchial tapering(including the presence of tubular structures within 1 cm from the pleural surface.),bronchial wall thickening in dilated airways,inspissated secretions (eg.,the " tree-in-bud" pattern ),or cysts emanating from the bronchial wall(especially pronounced in cystic bronchiectasis.) Reference:Harrison's medicine-18th edition,page no:2143.